Fear of darkness is called:-
1. Nyctophobia
2. Mysophohbia
3. Claustrophobia
4. Agarophobia

Correct answer: 1. Nyctophobia

Explanation: Nyctophobia Fear of darkness Mysophobia Fear of contamination Claustrophobia Fear of closed spaces Agarophobia Fear of open space